In the acronym "SWELLING" used for thehistory and examination of a lump or swelling,the letter 'N' stands for -
1. Nodes
2. Noise (Thrill/bruit)
3. Numbness
4. Neurological effects

Correct answer: 2. Noise (Thrill/bruit)

Explanation: Ans. is 'b' i.e., Noise (Thrill/bruit)